A study measures a patients's serum cholesterol before and after a new lipid lowering therapy has been given.What type of significance test should be used to analyze the data?
1. Paired t test
2. Student t test
3. Chi square test
4. Pearson's coefficient

Correct answer: 1. Paired t test

Explanation: Ref:Park's Textbook of Preventive and Social Medicine 25th Ed